A person is screened for blood Donation. Which of the following serology is safe for Blood donation.
1. Anti HBsAg positive
2. HBsAg positive
3. Anti HBC positive (IgM)
4. HBcAg positive

Correct answer: 1. Anti HBsAg positive

Explanation: Answer is A (Anti HBsAg positive) Presence of Anti HBsAg positive status indicates either immunization with HBs Ag or Hepatitis B in the remote past with complete recovery such patients are considered safe fin- blood transfusion. HbsAg Anti-HBs Anti-HBc HBeAg Anti-HBe Interpretation - + IgG - +/- Recovery from hepatitis B - + - - - 1. Immunization with HbsAg (after vacciniation) 2. Hepatitis B in the remote past (?) 3. False-positive